Most common site of metastasis from breast carcinoma:
1. Thoracic vertebra
2. Pelvis
3. Femur
4. Lumbar vertebra

Correct answer: 4. Lumbar vertebra

Explanation: Ans. (d) Lumbar vertebra(Ref: Bailey 26/ep811)* MC site of bony mets - Lumbar vertebra > Femur > Thoracic Vertebra > Ribs > Skull.* Osteolytic secondaries are seen commonly.